Which micro–organism is responsible for classical presentation of hydrocephalus, chorioretinitis, intracerebral calcification ?
1. Toxoplasmosis
2. Rubella
3. Measles
4. CMV

Correct answer: 1. Toxoplasmosis